Which of the following is a common side-effect of Cisplatin -
1. Diarrhea
2. Vomiting
3. Pulmonary fibrosis
4. Alopecia

Correct answer: 2. Vomiting

Explanation: Ans. is 'b' i.e., Vomiting Most common side-effect of Cisplatin is : Vomiting The most important dose dependent toxicity is renal impairment. o Amifostine is labelled for reduction of cisplatin induced nephrotoxicity.